True about Alpha1 antitrypsin deficiency is?
1. Deficiency of protease inhibitor
2. Autosomal recessive
3. May cause cholestatic jaundice
4. All of the above

Correct answer: 4. All of the above

Explanation: (255) All of the above REF: Robbin's 7th ed p. 913 Alpha 1 antitrypsin deficiency: Due to protease inhibitor deficiency Increased neutrophill elastase Neonatal cholestasis may occur, Hepatocellular carcinoma may also develop Pulmonary disease may occur in form of emphysema Gene located on chromosome 14